The most common side effect of IUD insertion is -
1. Bleeding
2. Pain
3. Pelvic
4. Ectopic pregnancy

Correct answer: 1. Bleeding

Explanation: Most common side effect → Bleeding
Most common side effect requiring removal of the device → Pain